AUDIT test is used for which of the following
1. Alcohol use disorder
2. Cannabis abuse
3. Opioid use disorder
4. Schizophrenia

Correct answer: 1. Alcohol use disorder

Explanation: AUDIT (Alcohol used disorders indentification test) is used in the screening of alcohol use disorders.